Egg shell calcification is seen in – a) Lymphomab) Sarcoidosisc) Carcinoma metastatic to lymph noded) T.B.
1. acd
2. bcd
3. abd
4. ab

Correct answer: 3. abd